A child presented to the casualty with seizures. On examination an oval hypo-pigmented macules were noted on the trunk, along with stib-noo:il In Probable diagnosis of the child is:
1. Neurofibromatosis
2. Sturge Weber
3. Tuberous sclerosis
4. Incontinenta pigmenti

Correct answer: 3. Tuberous sclerosis

Explanation: Ans. c. Tuberous sclerosis Most probable diagnosis in a child with seizures, oval hypo-pigmented macules on the trunk, and sub-normal IQ is Tuberous sclerosis.